Phantom limb phenomenon can be described by:
1. Weber Fechner law
2. Power law
3. Bell-Magendie law
4. Law of projection

Correct answer: 4. Law of projection

Explanation: Ans. D. Law of projectiona. The Law of Projection: "No matter where a particular sensory pathway is stimulated along its course to the cortex, the conscious sensation produced is referred to the location of the receptor"b. For example, when the cortical receiving area for impulses from the left hand is stimulated, the patient reports sensation in the left hand, not in the head.c. Another dramatic example is seen in amputees. Some of these patients may complain, often bitterly, of pain and proprioceptive sensations in the absent limb (phantom limb).